A 67 year male smoker presents with haemoptysis and cough. Bronchoscopic biopsy revealed undifferentiated tumour. The immunohistochemical marker that can be most helpful is-
1. Calretinin
2. Vimentin
3. Cytokeratin
4. GGt

Correct answer: 3. Cytokeratin

Explanation: Ans is 'c' i.e., Cytokeratin o Mass in bronchus in a old chronic smoker suggest bronchogenic carcinoma. The marker of carcinoma, on immunohistochemistry, is cytokeratin.